The following features are true for tetralogy of Fallot, EXCEPT:
1. Ventricular septal defect
2. Right ventricular hypertrophy
3. Atrial septal defect
4. Pulmonary stenosis

Correct answer: 3. Atrial septal defect

Explanation: The four constituents of Tetralogy of Fallot are ventricular septal defect, pulmonic stenosis, overriding of aorta and right ventricular hypertrophy. ADS is not a component of TOF. Ref: Essential Pediatrics, 6th Edition By O P Ghai, Pages 406-8.